Bone commonly fractured in facial injuries is:
1. Nasal bones
2. Nasoethmoid bone
3. Zygomatic bone
4. Mandible

Correct answer: 1. Nasal bones

Explanation: Ans. A: Nasal Bones Nasal fracture is the most common facial fracture, and the third most common fracture of the skeleton overall. However, because many fractures are subclinical and many others are associated with multiple trauma, a high percentage are not diagnosed or treated at the time of injury. These often lead to chronic nasal obstruction and account for many of the septoplasty procedures performed for obstruction and septal deviation. Most facial fractures can be restored to their preoperative state with proper early intervention